The following tests are used to check the efiiciency of pasteurization of mild except -
1. Phosphatase test
2. Standard plate count
3. Coliform count
4. Methylene blue reduction test

Correct answer: 4. Methylene blue reduction test

Explanation: Methylene blue reduction test is an indirect method for detection of microorganism in milk. REF. PARK'S TEXTBOOK OF PREVENTIVE AND SOCIAL MEDICAL 21ST EDITION. PAGE NO - 606